Hypercoagulability due to defective factor V gene is called -
1. Lisbon mutation
2. Leiden mutation
3. Antiphospholipid syndrome
4. Inducible thrombocytopenia syndrome

Correct answer: 2. Leiden mutation

Explanation: Ans. is 'b' i.e., Leiden mutation Of the inherited causes of hypercoagulability, mutations in factor V gene is the most common. Factor V mutations (called the leiden mutation) causes subsitution of arginine residue (at position 506) by glutamine. o This mutation makes factor V resistant to cleavage by protein 'C' (normally protein 'C' is one of the factor that regulates coagulation by inactivating factor V & VIII). o This results in unchecked coagulation.